OCP's are C/I in pts receiving:
1. Rifampicin
2. Ethambutol
3. Streptomycin
4. Pyrazinamide

Correct answer: 1. Rifampicin